Which one of the following foetal functions is the last to be affected
1. Tone
2. Movement
3. Heart rate reactivity
4. Breathing movements

Correct answer: 1. Tone

Explanation: (A) Tone